10 year old girl bought with acute paracetamol overdose management is -
1. N-acetylecysteine
2. PT monitoring
3. Measurement of hepatic enzymes
4. Charcol i.v., given

Correct answer: 1. N-acetylecysteine

Explanation: N Acetylcysteine is the antidote for paracetamol poisoning. Reference Harrison 20 edition pg 678